Color changes seen in ANUG may
1. Marginal
2. Diffuse
3. Patch-like
4. Lace-Like

Correct answer: 1. Marginal